Benefits of LNG lUCD are all except :
1. Management of menorrhagia
2. Contraceptive effect
3. Hormone replacement therapy after menopause
4. stage 2 endometrial cancer

Correct answer: 4. stage 2 endometrial cancer

Explanation: Mirena now used as first line of treatment of menorrhagia, in addition to the contraceptive effect. Another use is in providing progestogens component of hormone replacement therapy after menopause. THE TEXTBOOK OF GYNAECOLOGY SHEILA BALAKRISHNAN SECOND EDITION PAGE NO 379